Sturm's conoid refers to configuration of the rays refracted through:
1. Concave spherical surface
2. Convex spherical surface
3. Toric surface
4. Irregular surface

Correct answer: 3. Toric surface

Explanation: Ans. Toric surface